Which cancer develops in chronic ulcer
1. Malignant melanoma
2. Basal cell CA
3. Squamous cell CA
4. Kaposi sarcoma

Correct answer: 3. Squamous cell CA

Explanation: Answer- C. Squamous cell CAChronic ulcer can cause squamous cell carcinoma.